Difference between Fluoride Gel and Varnish:
1. Gel given by tray where as varnish cannot
2. Gel application is not for office use
3. More number of applications can be done by varnish
4. Gel penetrates the inter proximal surface better, while varnish cannot

Correct answer: 1. Gel given by tray where as varnish cannot